Learning by exposure to repeated stimulus is known as:
1. Habituation
2. Sensitisation
3. Potentiation
4. None of the above

Correct answer: 1. Habituation

Explanation: Habituation is a simple form of learning in which a neutral stimulus is repeated many times. Ref: Ganong's Review of Medical Physiology 23rd edition, Chapter 19.